All are true about Ganser's syndrome except:
1. Approximate answer
2. Apparent clouding of consciousness
3. Only found in prisoners
4. Hallucinations

Correct answer: 3. Only found in prisoners

Explanation: Though Ganser's syndrome is usually seen in prisoners but it is not exclusive to them. It consist mainly of three symptoms- Word approximation (Vorbeireden)- Hallmark Auditory / Visual Hallucinations Clouding of consciousness